Prophylaxis with Cotrimoxazole is recommended in the following situation EXCEPT:
1. All symptomatic HIV infected children > 5 years of age irrespective of CD4
2. All HIV exposed infants till HIV infection can be ruled out
3. All HIV infected infants less than 1 year age irrespective of symptoms or CD4 counts
4. Should be started only after the diagnosis of HIV is confirmed

Correct answer: 4. Should be started only after the diagnosis of HIV is confirmed

Explanation: Cotrimoxazole prophylaxis is recommended for infants, children & adolescents with HIV, irrespective of clinical and immune conditions. Dose: 150 mg/m2/day of TMP & 750 mg/m2/day of SMZ 3 days/wk. Benefits of Cotrimoxazole prophylaxis: prevention of AIDS-associated opportunistic diseases (Pneumocystis jirovecii pneumonia & toxoplasmosis), reduction of HIV-associated mortality in people with low CD4 cell counts